Predisposing factors for skin cancer are-a)  Smokingb)  U-V-light c)  Chronic ulcerd)  Infrared light
1. bc
2. c
3. ac
4. ad

Correct answer: 1. bc

Explanation: Exposure to Sun (UV rays) Major predisposing factors.                    o Old burn scars
Industrial carcinogens (Tars and oils)                                                    o Ingestion of arsenicals
Chronic ulcers and draining osteomyelitis.                                           o Ionizing radiation

Note : Cigarette smoking and tobacco & betel nut chewing are predisposing factors for squamous cell carcinoma of lips and oral cavity.